GIST associated marker is?
1. CD 117
2. CD 34
3. CD 23
4. S-100

Correct answer: 1. CD 117

Explanation: Ans. is 'a' i.e., CD 117 * The most useful marker of GIST is C-kit (CD-I 17). Other markers are CD 34, smooth muscle actin and vimentin.* Although CD 117 (c kit) is considered the most specific marker for GIST, it is not pathognomonic of GIST as other tumors may also express CD 117. These tumors include mast cell tumor, germ cell tumors (seminomas), leukemias, malignant melanoma, angiolipomas, and some sarcomas.